1st drug to be used in absence seizures
1. Phenytoin
2. BZD
3. Valproate
4. Carbamazepine

Correct answer: 3. Valproate